The use of desmopressin is best indicated for therapy in which of the following bleeding disorders?
1. Severe hemophilia A
2. Severe hemophilia B
3. Von Willebrand disease (VWD)
4. Glanzmann thrombasthenia

Correct answer: 3. Von Willebrand disease (VWD)

Explanation: Patients with Von Willebrand disease facing hemostatic challenges (dental work, surgery, etc.) can be treated with desmopressin, which stimulates vWF release, or with infusions of plasma concentrates containing factor VIII and vWF. Hemophilias A and B (severe phenotype) are treated by deficient factor replacement therapy, fresh frozen plasma, etc. Desmopressin can be used in the treatment of mild hemophilia A. Platelet transfusion is the standard treatment for severe bleeding and perioperative hemostasis in patients with Glanzmann thrombasthenia.